Non nucleoside reverse transcriptase inhibitors (NN1s) include all of the following except
1. Nevirapine
2. Delavirdine
3. Etravirine
4. Lamivudine

Correct answer: 4. Lamivudine

Explanation: Refer Katzung 12th/870 Lamivudine is nucleoside reverse transcriptase inhibitor and not the non nucleoside reverse transcriptase inhibitors